The lumbar region of the vertebral column permits all of the following movements, EXCEPT:
1. Flexion
2. Rotation
3. Extension
4. Lateral flexion

Correct answer: 2. Rotation

Explanation: Rotation refers to a twisting movement of the vertebral column. This is least extensive in the lumbar region. Rotation of the spine is slight in the cervical vertebral region, greater in the upper thoracic region and greatest in the lower thoracic region. Muscles involved in rotation of spine are sternocleidomastoid, scalene, splenius capitus, semispinalis thoracis, semispinalis cervicis, rotators, external and internal oblique abdominis.